Food can get stuck in the esophagus at the following locations, except:
1. Crossing of left bronchus
2. Crossing of arch of aorta
3. Diaphragmatic opening
4. Crossing of the hemiazygous vein

Correct answer: 4. Crossing of the hemiazygous vein

Explanation: Ans. (d) Crossing of hemiazygous veinRef: Bailey and Love 26th Edition, Page 987Natural constrictions of esophagus are at:* 15cm-- Incisor teeth* 25cm--Arch of aorta* 27cm--Left Bronchus* 40cm--Diaphragmatic aperture